In oesophageal ca which Neoadjuvant chemotherapy is used -
1. Cisplatin
2. Cyclophosphamide
3. Doxorubicin
4. Methotrexate

Correct answer: 1. Cisplatin

Explanation: Sabiston writes-"Since its introduction in 1980, cisplatin has emerged as the cornerstone of combination therapy in esophageal cancer.
As a single agent, it has a response rate of 25% to 30%. Given in combination with 5-fluorouracil, a response rate of 50% may be achieved, and this is an established chemotherapeutic regimen for esophageal cancer."